Which of the following sequence is directed in a retrograde manner to EPR in COP-1 vesicles?
1. KDEL
2. KDAL
3. DALK
4. KDUL

Correct answer: 1. KDEL

Explanation: KDEL sequence ( lysine - aspartate - glutamate - leucine ) at carboxy terminal first travel to GA in COP-2 vesicles, interact with their specific receptor protein. then they return in a COP-1 vesicle to EPR, get dissociate from their receptor & are retrieved. Reference: Harper; 30th edition